Palsy of right genioglossus causes:
1. Deviation of tongue to the right
2. Deviation of tongue to left
3. Deviation of soft palate to right
4. Deviation of soft palate to left

Correct answer: 1. Deviation of tongue to the right

Explanation: Genioglossus muscle moves the tongue anterior, inferior and medial (AIM).
Bilateral contraction of genioglossus help in protrusion and depression of tongue in midline, since the vector of medial pull is balanced and cancelled.
Palsy of right genioglossus muscle deviates the tongue to the right side, due to unopposed medial  pull of the left genioglossus.